Ovarian artery is a branch of -
1. Abdominal aorta
2. Anterior iliac artery
3. Common iliac artery
4. Posterior iliac artery

Correct answer: 1. Abdominal aorta

Explanation: Ans. is 'a' i.e., Abdominal aorta Branches of aorta 1) Ventral branches: -Coeliac trunk, superior mesenteric artery, inferior mesenteric artery. 2) Lateral branches:- Inferior phrenic artery, middle suprarenal arteries, renal arteries, testicular or ovarian arteries. 3) Dorsal branches:- Lumbar arteries (four pairs), median sacral artery.